Not true about rheumatoid arthritis
1. Peri-articular osteopenia
2. Periosteal reaction seen
3. Narrowing of joint space
4. DIP is usually spared

Correct answer: 2. Periosteal reaction seen